DNA has:
1. Ribose sugar
2. Deoxyribose sugar
3. Both
4. None

Correct answer: 2. Deoxyribose sugar

Explanation: Ribose sugar moiety is found in RNADeoxyribose sugar moiety is found in DNA